Avascular necrosis of bone is most common in
1. Scapula
2. Scaphoid
3. Calcaneus
4. Cervical spine

Correct answer: 2. Scaphoid

Explanation: B i.e. Scaphoid